'rK 39 antigen' is useful for diagnosis of:
1. Diphtheria
2. Diphtheria Tuberculosis
3. Lprosy
4. Kala azar

Correct answer: 4. Kala azar

Explanation: Antigens used in different tests: Test (disease) Antigen used Mantoux test PPD Lepromin test Dhamendra antigen Schick test Schick toxin Dipstick test- malaria Histidine rich protein type II Kala azar Rk 39 antigen